Which one of the following deficits results from the destruction of the ciliary ganglion?
1. Loss of corneal reflex
2. Loss of direct pupillary reflex
3. Loss of lacrimation
4. Miosis

Correct answer: 2. Loss of direct pupillary reflex

Explanation: Destruction of the ciliary ganglion interrupts postganglionic parasympathetic fibers, which innervate the sphincter pupillae and ciliaris; this results in- loss of the direct pupillary reflex, mydriasis, and loss of accommodation.